All of the following are risk factors for increased lactic acidosis in patients on metformin therapy except
1. Advanced age
2. Liver dysfunction
3. Renal dysfunction
4. Smoking

Correct answer: 4. Smoking

Explanation: Metformin can result in lactic acidosis and the risk factors includes old age,renal and liver insufficiency, alcoholics.
Smoking is not a risk factor.